Hydatidiform-mole, blood cells does NOT develop because defect in
1. Primary ectoderm
2. Mesoderm
3. Endoderm
4. Trophoblast

Correct answer: 2. Mesoderm

Explanation: B. i.e. MesodermWhole cardiovascular system i.e. heart, bloodvessels, lymphatic & blood cellsQ are mesodermal in origin